Crocodile skin or sauroderma is seen in :
1. Toxic epidermal necrolysis
2. Psoriasis
3. Darier's disease
4. Ichthyosis vulgaris

Correct answer: 4. Ichthyosis vulgaris

Explanation: D i.e. Ichthyosis vulgaris